DNA Polymerase requires which biomolecule for its activity?
1. Thioredoxin
2. DNA Template
3. dUTP
4. Glutathione

Correct answer: 2. DNA Template

Explanation: Thioredoxin DNA Template dUTP Glutathione Required for the conversion of Ribonucleotides to Deoxyribonucleotides Required by DNA Polymerase deoxy UTP does not exist in body UTP, UDP in the form of RNA are present in the body Required by RBCs for destroying H2O2